Crab is the intermediate host for -
1. Clonorchis sinensis
2. Paragonimus westermani
3. Fasciola hepatia
4. Schistosoma hematobium

Correct answer: 2. Paragonimus westermani

Explanation: oriental lung fluke Definitive host- man ,cat ,dog ,fox, tiger, leopard,monkey First intermediate host- a fresh water snail Second intermediate host- crayfish or a crab ( refer pgno:131 baveja 3 rd edition)